Which of the following is a common side effect of cisplatin ?
1. Diarrhea
2. Vomiting
3. Pulmonary fibrosis
4. Alopecia

Correct answer: 2. Vomiting